Which is a reverse transcriptase?
1. Topoisomerase 2
2. Telomerase
3. RNA polymerase 2
4. DNA polymerase alpha

Correct answer: 2. Telomerase

Explanation: Telomerase, a multisubunit RNA template-containing complex related to viral RNA-dependent DNA polymerases (reverse transcriptases), is the enzyme responsible for telomere synthesis and thus for maintaining the length of the telomere. Since telomere shortening has been associated with both malignant transformation and aging, this enzyme has become an attractive target for cancer chemotherapy and drug development.Ref: Harper's Biochemistry; 30th edition; Page no: 375